1st extensor compartment of wrist contains -
1. EPL
2. EPB
3. ECRL
4. ECRB

Correct answer: 2. EPB

Explanation: Ans. is 'b' i.e., EPB CompartentContentsIAbductor pollicis longus, extensor pollicis brevisIIExtensor carpi radialis longus and brevisIIIExtensor pollicis longusIVExtensor digitorum, extensor indicis, posterior interosseus nerve, anterior interosseus arteryVExtensor digiti minimiVIExtensor carpi ulnaris